Pyrexia,pinpoint pupils and unconsciousness is characteristic of:
1. Brain stem lesion
2. Cerebellar lesion
3. Thalamic lesions
4. Internal capsule lesions

Correct answer: 1. Brain stem lesion

Explanation: Pin point pupils (size 1 mm) are seen due to damage to descending sympathetic pathways which are present in the brain stem. Control of temperature occurs from hypothalamus and lateral parabrachial nucleus, located at the junction of pons and midbrain Large-volume intracerebral hemorrhages in Pons expands to compress on hypothalamic thermoregulatory center and leads to high grade Fever in these patients.